Most common benign tumor of paranasal sinuses?
1. Papilloma
2. Osteoma
3. Warts
4. Fibroma

Correct answer: 2. Osteoma

Explanation: Ans. is 'b' i.e., Osteoma * Osteoma of the frontal sinus - Most common benign tumour arising in the nasal sinuses.* The osteoma arises from the floor of the frontal sinus near the midline.